Which of the following restorative materials requires more skills in manipulative maneuvers than others
1. Amalgam
2. Cast gold alloy
3. Pure gold
4. Composite

Correct answer: 3. Pure gold